Conscious sedation is:
1. CNS depression with unconsciousness
2. Sedation with inability to respond to command
3. Sedation with ability to respond to command
4. Any of the above

Correct answer: 3. Sedation with ability to respond to command

Explanation: Sedation with ability to respond to command. Dexmedetomidine is nowerdays is considered best drug for concious sedation. Dexmedetomidine * Highly selective alpha - 2 adrenoreceptor agonist * Used mainly as IV adjunct during induction and /or maintenance of general anesthetics * Minimal respiratory and cardiovascular depression * Good sedation , good analgesic, sympatholytic effects * Selectivity for alpha1: alpha 2 receptors is 1: 1640 Uses of IV anesthetic agents:- 1. Induction of anesthetics 2. Maintenance of anesthetics 3. Sedation